The upper 3/4th of vagina develops from-
1. Mullerian duct
2. Wolffian duct
3. Sino vaginal bulb
4. Endoderm

Correct answer: 1. Mullerian duct